A 3–month old male child with normal genitalia presents to the emergency department with severe dehydration, hyperkalemia and hyponatremia. The measurement blood levels of which of the following will be helpful?
1. 17–hydroxy progesterone
2. Renin
3. Cortisol
4. Aldosterone

Correct answer: 1. 17–hydroxy progesterone

Explanation: This is a case of congenital adrenal hyperplasia due to deficiency of 21 - hydroxylase deficiency.
Because of the enzyme block ,there is increased formation of 17- hydroxyprogesterone, which is then shunted into the production of testosterone.
Levels of cortisol and aldosterone are reduced.